A 28-year-old patient has multiple grouped papulovesicular lesions on both elbows, knees buttocks and upper back associated with severe itching. The most likely diagnosis is –
1. Pemphigus vulgaris
2. Bullous pemphigoid
3. Dermatitis herpetiformis
4. Herpes Zoster

Correct answer: 3. Dermatitis herpetiformis

Explanation: Look for itching → Severe itching
Papulovesicular lesion
On extensors (knees, elbows), scapular region (upper back), buttock.
Age → 28 years